What is the most common presentation in cystic fibrosis?
1. Lung infection
2. Meconium ileus
3. Malabsorption
4. Infertility

Correct answer: 1. Lung infection

Explanation: Feature Percentage of cases Acute or persistent respiratory symptoms 50.5 Failure to thrive, malnutrition 42.9 Abnormal stools 35.0 Meconium ileus, intestinal obstruction 18.8 Family history 16.8 Electrolyte acid-base abnormality 5.4 Nasal polyps; sinus disease 2.0 Hepatobiliary disease 0.9